Preganglionic neurotransmitter in sympathetic division of autonomic nervous system is:
1. Noradrenergic
2. Adrenergic
3. Acetylcholine
4. Dopamine

Correct answer: 3. Acetylcholine

Explanation: Ans. C i.e. Acetylcholine In the autonomic nervous system, acetylcholine is released in the following sites: All pre- and post-ganglionic parasympathetic neurons All preganglionic sympathetic neurons - Preganglionic sympathetic fibers to suprarenal medulla, the modified sympathetic ganglion; on stimulation by acetylcholine, the suprarenal medulla releases epinephrine and nor epinephrine Some postganglionic sympathetic fibers - Sudomotor neurons to sweat glands.